Black floaters in a diabetic patient indicate:
1. Vitreous H'ge
2. Maculopathy
3. Vitreous infarction
4. Post vitreous detachment

Correct answer: 1. Vitreous H'ge

Explanation: A i.e. Vitreous H'ge Vitreous haemorrhage is most common cause of black floaters in diabetic patient. Q Maculopathy is most common cause of visual impairment of diabetic patient. Q Microaneurysm is the earliest detectable sign of diabetic retinopathy Q Duration is the most important and best predictor Q of diabetic retinopathy